The triad of DM, gall stones and steatorrhoea is associated with which one of the following tumours?
1. Gastrinomas
2. Somatostatinomas
3. VIPomas
4. Glucagonomas

Correct answer: 2. Somatostatinomas